All are resected in whipples operation except -
1. Duodenum
2. Head of pancreas
3. Portal vein
4. Common bile duct

Correct answer: 3. Portal vein

Explanation: Whipples operation (Pancreaticoduodenectomy)

is the most commonly performed operation for carcinoma of head of pancreas.

It includes resection of: 

distal stomach                 
gall bladder
duodenum 
proximal jejunum  
CBD       
regional lymphatics                                              
head of pancreas
Restoration of gastrointestinal continuity requires
pancreaticojejunostomy
choledochojejunostomy &
gastrojejunostomy